Drug of choice in lithium induced polyuria is:
1. Amiloride
2. Demeclocycline
3. Thiazide diuretics
4. Indornethacin

Correct answer: 1. Amiloride